Which of the following is not included in Sipple's syndrome :
1. Pheochromocytoma
2. Medullary carcinoma thyroid
3. Hyperthyroidism
4. Hyperparathyroidism

Correct answer: 3. Hyperthyroidism

Explanation: Ans. is 'c' Hyperthyroidism Men type 2A syndrome is known as Sipple's syndrome. It includes-Medullary Ca thyroidPheochromocytomaParathyroid adenomaRemember the features of the three types of MEN syndrome Men I(Wermer syndrome)Men IIASipple's syndromeMen II BPituitaryAdenoma- ParathyroidHyperplasia, adenomaHyperplasia, AdenomaHyperplasiaPancreatic isletsHyperplasia, adenoma, carcinoma AdrenalCortical hyperplasiaPheochromocytomaPheochromocytoma,ThyroidC Cell hyperplasiaMedullary Ca thyroidMedullary Ca thyroidOther features Mucocutaneous ganglioneuroma Marfanoid habitus